According to WHO, membranous glomerulonephritis seen in SLE, is ?
1. Class II
2. Class III
3. Class IV
4. Class V

Correct answer: 4. Class V

Explanation: Ans. is 'd' i.e., Class V KIDNEY INVOLVEMENT IN SLE (LUPUS NEPHRITIS) A. Glomerular disease T1. here are several versions of WHO classification of lupus nephritis ? Minimal or no detectable abnormalities (class 1) It occurs in less than 5% of patients. Has best prognosis. 2. Mesangial lupus glomerulonephritis (class II) Focal proliferative glomerulonephritis (class III) Diffuse proliferative glomerulonephritis (class IV) Membranous glomerulonephritis (class V) B. Tubulointerstitial disease Though glomeruli are involved primarily in lupus nephritis, interstitium and tubules can also be involved especially in association with diffuse proliferative glomerulonephritis. Granular deposition of immunoglobulin and complement in tubular basement membrane are seen. Anti-DNA antibodies is usually associated with active lupus nephritis Also know Nephritis is the most serious manifestation of SLE. Most common cause of death is renal failure due to nephritis.